Pulpal pain response is
1. dull and throbbing when carried by myelinated C fibers.
2. dull and throbbing when carried by unmyelinated C fibers.
3. quick and sharp when carried by myelinated C libers.
4. quick and sharp when carried by unmyelinated C fibers.

Correct answer: 2. dull and throbbing when carried by unmyelinated C fibers.